Net reproduction rate is :
1. Number of girl babies born to a women
2. Number of babies born to a women
3. Number of girl babies born to a women and  taking into account only alive once
4. None of the above

Correct answer: 3. Number of girl babies born to a women and  taking into account only alive once

Explanation: Total Fertility Rate(TFR) : Number of babies born to a woman
Gross Fertility Rate(GFR) : Number of girl babies born to a woman
Net reproduction rate(NRR) : Number of girl babies born to a woman and taking into account only alive once.